As per NFHS 3 data, what is the prevalence of anaemia in children 6 to 59 months?
1. 50%
2. 60%
3. 70%
4. 80%

Correct answer: 3. 70%

Explanation: As per the NFHS 3, nutritional deficiencies are widespread. Around 23% of children were wasted. At the same time, there has been very marginal change in the percentage of children who are underweight (43% in NFHS-2 and 40% in NFHS-3). NFHS-3 found prevalence of anaemia to be 70% in children age 6-59 months which is primarily linked to poor nutrition. Anaemia is also common among adults. 55% women in India are anaemic. Anaemia levels in men are at around 24%.